In case of deaths due to asphyxia, the part which should be dissected last is -
1. Neck
2. Thorax
3. Abdomen
4. Skull

Correct answer: 1. Neck

Explanation: Abdominal and thoraxic organs are removed followed by brain and blood is drained out. The neck structures are dissected layer by layer to see the changes clearly in asphyxia. Dr. Narayana Reddys Synopsis of Forensic Medicine & Toxicology 27 th edition pg. 163.